Regarding mid-day meal programme, true statement is:
1. 1/3 of calories and 1/2 of protein is supplemented
2. 1/2 of calories and 1/3 of protein is supplemented
3. 1/3 of calories and 1/3 of protein is supplemented
4. 1/2 of calories and 1/2 of protein is supplemented

Correct answer: 1. 1/3 of calories and 1/2 of protein is supplemented

Explanation: Ans: A (1/3 of calories and 1/2 of protein is supplemented) Ref: Park 22nd editionExplanation:Mid-day meal programmeAka School lunch programmeIt is in operation since 1961 throughout the countryThe objectivesTo attract more children to schoolsRetaining themIncreasing literacy ratesPrinciplesThe meal should be a supplement and not a substitute to the home diet.The meal should supply atleast one-third of the total energy requirement and half of total protein needs.The cost of the meal should be reasonably low.The meal should be prepared easily in schools. No complicated process should be involved.Locally available foods should be used.The menu should be frequently changed to avoid monotony.Every child in every Government and Government assisted Primary Schools with a prepared mid-day meal with a minimum content of 300 calories and 8-12 grams of protein each day of school for a minimum of 200 days.